True about COX–2 are all EXCEPT :
1. It is constitutionally expressed on some cell surfaces
2. Activation of COX–2 leads to ulceroprotective effect on gastric mucosa
3. Induced at the site of inflammation
4. It is utilized in generation of eicosanoids with a ring structure

Correct answer: 2. Activation of COX–2 leads to ulceroprotective effect on gastric mucosa

Explanation: COX-2 is constitutively active within kidney, endothelium and brain. Recommended doses of COX-2 inhibitors cause renal toxicities similar to those associated with other NSAIDs.
COX-2 inhibitors have been shown to have less gastrointestinal side effects because COX-1 is mainly involved in protection from gastric ulcers.
Constitutive COX-1 isoform tend to be house keeping in function while COX-2 is induced during inflammation.
COX have role in synthesis of PG’s from arachidonic acid, PGs have 20C fatty acids containing cyclopentane ring.
Selective COX-2 inhibitors increase the risk of MI.